The term 'virus' was coined by
1. Ruska
2. Beijerinck
3. Good pasture
4. Hansen

Correct answer: 2. Beijerinck

Explanation: Beijerinck coined the term 'Virus'.